A 10 months old baby boy presented with inability to feed since 1 day. He had a prior history of cough, fever and hurried breathing since 3 days. On examination the child had a Respiratory rate of 56/min. The line of management is
1. Home management with Paracetamol
2. Home management with Amoxycillin
3. Hospital management with antibiotics
4. Reassurance

Correct answer: 3. Hospital management with antibiotics

Explanation: Inability to feed is one of the danger signs of pneumonia.
Hence the child can be categorised as Severe pneumonia and needs hospital admission and treatment with injectable antibiotics.